Most appropriate investigation of choice in endometriosis :
1. USG
2. Diagnostic laparoscopy
3. MRI
4. CA-125

Correct answer: 2. Diagnostic laparoscopy

Explanation: Laproscopy is the gold standard in the diagnosis of endometriosis Role of Laproscopy To detect and diagnose pelvic endometriosis Locate the site of endometriosis and staging To take biopsy To surgically treat endometriosis by ablation and removal. Ref : Shaw Gynecology 17 e pg 180.